In case of xeropthalmia secondary to Vitamin A deficiency, what does X2 indicate according to WHO:
1. Conjunctival xerosis
2. Bitot's spot
3. Corneal xerosis
4. Corneal ulcer

Correct answer: 3. Corneal xerosis

Explanation: Ans.(c) Corneal xerosisRef: A.K. Khurana 6th ed. /468* Xeropthalmia: all the ocular manifestation of Vitamin A deficiency.* First clinical sign of Vitamin A deficiency: Conjunctival Xerosis* First clinical symptom of vitamin A deficiency: Night blindnessWHO Classification of XeropthalmiaCLASSSIGNSX1AConjunctival xerosisX1BConjunctival xerosis with bitot's spotX2Corneal xerosisX3ACorneal xerosis with ulcerationX3BKeratomalacia